What is radioresistant –
1. Cartilage
2. Seminoma
3. Ewings sarcoma
4. GI epithelium

Correct answer: 1. Cartilage

Explanation: Bone & cartilage are radioresistant.
Ewing's sarcoma, seminoma and GI epithelium are highly radiosensitive.